Anticholinergic drug used in parkinsonism -
1. Benzhexol
2. Beneserazide
3. Pirenzepine
4. Atropine

Correct answer: 1. Benzhexol

Explanation: Ans. is 'a' i.e., Benzhexol Drugs for parkinsonasm|||Increasing brain dopaminergic activityDecreasing brain cholinergic activityo Dopamine precursor - Levodopao Periphera decarboxylase inhibitors - Carbidopa, Benserazideo Dopaminergic agonists - Bromocriptine, Ropinirole. Pramipexal, Ritigotineo MAO-B inhibitor - Selegilineo COMT inhibitor - Entacapone, Tolcaponeo Dopamine facilitator - Amantidineo Central anticholinergic - Trihexyphenidyl (Benzhexol), Procyclidine, Biperiden.o Antihistaminic - Orphenadrine, promethazine.